Teres minor muscle is supplied by
1. Upper subscapular nerve
2. Lower subscapular nerve
3. Dorsal subscapular nerve
4. Axillary nerve

Correct answer: 4. Axillary nerve